Meralgia paraesthetica is ?
1. Medial cutaneous nerve of thigh
2. Lateral cutaneous nerve of thigh
3. Lateral cutaneous nerve of hand
4. Medial cutaneous nerve of hand

Correct answer: 2. Lateral cutaneous nerve of thigh

Explanation: Ans. is 'b' i.e., Lateral cutaneous nerve of thigh The neuropathy affecting the lateral cutaneous nerve of thigh is called meralgia paraesthetica. Cheralgia paraesthetica is a neuropathy of the hand - superficial branch of the radial nerve. The area affected includes: 1) Base of thumb, near the anatomical snuffbox 2) Back of thumb and index finger 3) Back of hand Thus, Meralgia paraesthetica - Lateral cutaneous nerve of thigh Cheralgia paraesthetica - Lateral cutaneous nerve of hand